Which of the following test detects spermine in semen during examination of seminal fluid in a case of sexual assault?
1. Barberio test
2. Florence test
3. ELISA
4. Gettler's test

Correct answer: 1. Barberio test

Explanation: Barberio test detects spermine in semen. A saturated aqueous or alcoholic solution of picric acid when added to spermatic fluid produces yellow needle-shaped rhombic crystals of spermine picrate. The reaction depends on the presence of prostatic secretion. Ref: Essentials of Forensic Medicine and Toxicology by KS Narayan Reddy, 27th edition, Page 370.